Protein losing enteropathy diagnosis, all used except?
1. >Tc albumin
2. >Tc dextran
3. >In transferrin
4. >Tc seclosumab

Correct answer: 4. >Tc seclosumab

Explanation: Tc Solesumab Protein-losing enteropathy is not a specific disease but rather a group of gastrointestinal and nongastrointestinal disorders with hypoproteinemia and edema in the absence of either proteinuria or defects in protein synthesis. These diseases are characterized by excess protein loss into the gastrointestinal tract. The diagnosis of protein-losing enteropathy is suggested by the presence of peripheral edema and low serum albumin and globulin levels in the absence of renal and hepatic disease. There should be low levels of both albumin and globulin. Selective loss of either albumin or globulin is suggestive of some other disease. Documentation of an increase in protein loss into the gastrointestinal tract has been established by the administration of one of several radiolabeled proteins and its quantitation in stool during a 24- or 48-h period. To detect gastrointestinal protein loss, following chemicals have been used: - indium-111 chloride, - indium-111 transferrin, - technetium 99m labelled human serum albumin (HSA), - 99m Tc dextran, - 99m Tc human inunutzoglobulin - iodine 131 polyvinylpyrrolidone, - iodine 125 polyvinylpyrrolidone, - chromium 51-labeled albumin, - 51 Cr chromic chloride, - 125 1 albumin, and - a-lantittypsin.